Splaying and Cupping of the metaphysis is seen in –
1. Rickets
2. Scurvy
3. Paget's disease
4. Lead poisoning

Correct answer: 1. Rickets